In which of the following diseases is postexposure immunization prescribed?
1. Cholera
2. Poliomyelitis
3. Rabies
4. Yellow Fever

Correct answer: 3. Rabies

Explanation: In Rabies post exposure prophylaxis is recommended. Given either I.m(Essen regimen or Zareb regimen) or I.d. Reference:Park's textbook of preventive and social medicine,K.Park,23rd edition,page no:279.